Mirizzi syndrome is:
1. GB stone compressing common hepatic duct
2. GB carcinoma invading IVC
3. GB stone causing cholecystitis
4. Pancreatic carcinoma

Correct answer: 1. GB stone compressing common hepatic duct

Explanation: Ans. (a) GB stone compressing common hepatic ductCSENDES CLASSIFICATION of Mirizzi Syndrome -5 types.* Type 1: Only compression of Common Duct.* Type 2: Erosion less than 1/3rd* Type 3: Erosion more than 1/3rd* Type 4: Total destruction* Type 5: Associated Cholecysto Enteric Fistula